The best time to treat a cross-bite is:
1. When the roots are fully developed
2. When the roots are 2/3rd developed
3. Permanent dentition has completely erupted
4. As and when detected

Correct answer: 4. As and when detected